In cirrhosis in space of disse which type of collagen accumulates -
1. Type I & Type II
2. Type I & III
3. Type IV
4. Type I & IV

Correct answer: 2. Type I & III

Explanation: Harshmohan textbook of pathology 7th edition. fibrosis in the liver mobiles may be portal- central, portal portal, or both. The mechanism of fibrosis is by increased synthesis of type1 and type3 collagen in the space of disse. There is proliferation of fat storing Ito, uderlyig the sinus epithelium, which are transformed into myofibroblast and fibro cells..